Neither raised nor depressed is –
1. Macule
2. Plaque
3. Nodule
4. Papule

Correct answer: 1. Macule

Explanation: Macule and patch are flat lesions, i.e. they are neither raised nor depressed.